Short gastric artery is a branch of
1. Splenic artery
2. Left gastroduodenal artery
3. Left gastroepiploic artery
4. Portal vein

Correct answer: 1. Splenic artery

Explanation: Short gastric artery is a branch of the splenic artery. Splenic artery gives it branches to branches to pancreas, short gastric artery, left gastroepiploic and posterior gastric. right gastroepiploic is not its branch. ref - BDC 6e vol2 pg277